Drug used for cessation of smoking -
1. Theophylline
2. Biclutamide
3. Salmeterol
4. Varenicline

Correct answer: 4. Varenicline

Explanation: Ans. is 'd' i.e., Varenicline o Varenicilline is a direct acting nicotine agonist with selective action on a4 b2 isoform of Nm receptors. It is an antismoking drug.